All of the following are Non-parametric test, except:
1. Chi square test
2. Z test
3. Wilcoxon Rank sum test
4. Kruskal-Wallis ‘H’ test

Correct answer: 2. Z test